The function of vitamin K is:
1. Thrombin formation
2. Prothrombin formation
3. Fibrin formation
4. Thromboplastin formation

Correct answer: 2. Prothrombin formation